Arousal is most difficult in which stage of sleep -
1. Stage 1 NREM
2. Stage 2 NREM
3. Stage 3,4 NREM
4. REM

Correct answer: 3. Stage 3,4 NREM

Explanation: Ans is 'c' i.e., Stage 3,4 NREM'In general, the ease of arousal from sleep parallels the ordering of the sleep stages, with NEM and stage 1 being the easiest for arousal and stage 4 the most difficult.